Tetracyclines inhibit protein synthesis by :
1. Inhibition of initiation and misreading of mRNA
2. Binding to 30 S subunit and inhibiting the binding of aminoacyl–tRNA to A site
3. Inhibiting peptidyl transferase activity
4. Inhibiting translocation

Correct answer: 2. Binding to 30 S subunit and inhibiting the binding of aminoacyl–tRNA to A site